Recommended transport medium for stool specimen suspected to contain enteric pathogen is -
1. Arnie's medium
2. Buffered glycerol saline medium
3. MacConkey medium
4. Stuart medium

Correct answer: 2. Buffered glycerol saline medium

Explanation: In the case of delicate organisms which may not survuve the time taken for transporting the specimen to the laboratory or may be overgrown by non pathogens (such as dysentry or cholera organisms in feces ) special media are devised for transporting the specimens. These are termed as transport media for eg;Stuart 's medium - a non nutrient soft agar gel containing a reducing agent to prevent oxidation and charcoal to neutralise certain bacterial inhibitors-for gonococci and buffered glycerol saline for enteric bacilli REF:Ananthanarayan & Panicker's Textbook of Microbiology 9th edition pg no:43